Leukotoxin
1. Kills neutrophils
2. Attracts neutrophils
3. Aggregates neutrophils
4. Enhances phagocyte activity

Correct answer: 1. Kills neutrophils